Complications of Hemithyroidectomy include all of the following, except?
1. Hypocalcemia
2. Wound hematoma
3. Recurrent laryngeal nerve palsy
4. External branch of superior laryngeal nerve palsy

Correct answer: 1. Hypocalcemia

Explanation: Hypocalcemia following total or subtotal thyroidectomy where all four parathyroid glands are either removed results due to parathyroid insufficiency. Parathyroid insufficiency (hypocalcemia) is usually not seen after Hemithyroidectomy as it involves the removal of only one lobe of thyroid together with the isthmus and the parathyroids are preserved. Ref: Bailey and Love's Short Practice of Surgery, 25th Edition, Page 782